Which of the following will seen in non- granulomatous uveitis -
1. Acqueus flare
2. Iris nodule
3. Krukanberg spindle
4. Broad based posterior synechiae

Correct answer: 1. Acqueus flare

Explanation: (A) (Aqueous flare) (155 Nema 6th) (194 Khurana 5th)Distinguishing features between nongranulomatous and granulomatous uveitisFeaturesNongran ulomato usGranulomatousOnsetAcuteInsidiousPhotophobiaMarkedSlightVisualImpairmentModerateMarkedPainMarkedMinimalSiteUsually anterior uveaUsually posterior uveaCiliary injectionMarkedMildKeratic precipitatesFine, white, lymphocytic, multipleLarge, gray, macrophagic, few in numberAqueous flare+++ (Flare predominates)++ (Cells predominate)Iris nodulesAbsentMay be presentPosterior synechiaeThin and weakThick and heavyVitreous hazeSlightModerate to marked